In anemia, the concentration of 2, 3-DPG is?
1. Decreased
2. Increased
3. A orb
4. Not changed

Correct answer: 2. Increased

Explanation: B i.e. Increased